What is irregular astigmatism -
1. Perpendicular principal meridians
2. Non perpendicular principal meridians
3. Any of the above
4. None of the above

Correct answer: 2. Non perpendicular principal meridians

Explanation: It is characterized by an irregular change of refractive power in different meridia. There are multiple meridia which admit no geometrical analysis.the principal meridians are not perpendicular to each other Image : Corneal topographies in regular and irregular astigmatisms. A: Regular astigmatism of 4.0 diopters with two perpendicular main meridians. B: Irregular astigmatism of 6.5 diopters with non-perpendicular main meridians. Reference : A K KHURANA OPHTALMOLOGY,Edition 4,Page-38